Pharyngoconj unctiva I fever is caused by
1. Adenovirus 11, 21
2. Adenovirus 40, 41
3. Adenovirus 8. 19
4. Adenovirus 3 and 7

Correct answer: 4. Adenovirus 3 and 7

Explanation: o Pharyngo-conjunctival fever is caused most commonly by serotypes 3 and 7, but serotypes 2, 4 and 14
also have been documented as etiologic agents,
o Ocular infections caused by Adenovirus -
i. Epidemic keratoconjunctivitis → Serotypes 8, 19, 37
ii. Follicular conjunctivitis → Serotypes 3,7
iii. Pharyngoconjunctival fever - Serotypes 3, 7 Adeno Virus
o Non-enveloped, DNA (ds DNA) Virus
o Has characteristic morphology consisting of an icosahedral shell composed of 20 equilateral
triangular faces and 12 vertices → space vehicle appearance.
o Human adenovirus grows only in tissue culture of human origin, such as human embryonic kidney, HeLa
or HEP-2.
o Cytopathic effect in tissue culture → cell rounding and aggregation into grape like clusters.
o Adenovirus has been used as a vector for gene therapy.
o Adenovirus cause infections of the respiratory tract and eyes and less often of the intestine and urinary tract.
o Most frequently affect infants and children
o Clinical manifestations
□ Most common manifestation in children is an acute upper respiratory tract infection with prominent rhinitis,
□Most common manifestation in adult is ARDS